Treatment of choice for pleomorphic adenoma:-
1. Superficial parotidectomy
2. Radical parotidectomy
3. Enucleation
4. Radiotherapy

Correct answer: 1. Superficial parotidectomy

Explanation: PLEOMORPHIC ADENOMA It isMC benign salivary gland tumor and MC tumor of major salivary glandsQ. MC site is parotid tail (superficial lobe)Q CLINICAL FEATURES Presents as painless swelling without any appreciable change in size, with typical site at below, in front and behind the ear lobuleQ. DIAGNOSIS FNAC is diagnosticQ TREATMENT Superficial parotidectomy (Patey's operation)Q Excision of whole gland in cases of pleomorphic adenoma of submandibular gland Name of incision for parotidectomy: Lazy 'S', modified Blairs or Sistrunk incisionQ